Osteomas, adenomatous polyps of intestine & periampullary carcinomas are seen in ?
1. Cowden syndrome
2. Peutz Jegers syndrome
3. FAP
4. Gardener syndrome

Correct answer: 4. Gardener syndrome

Explanation: Ans. is 'd' i.e., Gardener syndromeGardner syndrome includes adenomatous polyps of the gastrointestinal tract, desmoid tumours, osteomas, epidermoid cysts, lipomas, dental abnormalities and periampullary carcinomaso It is an autosomal dominant form of polyposis characterized by the presence of multiple polyps in the colon .